Deforming Polyarthritis is associated with all of the following except -
1. Rheumatoid arthritis
2. Psoriatic arthritis
3. Behcet's syndrome
4. Ankylosing spondylitis

Correct answer: 3. Behcet's syndrome

Explanation: The arthritis of Bechet's syndrome is not deforming and affects knees and ankles.
Rheumatoid arthritis, psoriatic arthritis, ankylosing spondylitis, neuropathic arthropathy etc. cause deforming arthritis.